Which of the following is required for certain types of eukaryotic protein synthesis but not for prokaryotic protein synthesis?
1. Ribosomal RNA
2. Messenger RNA
3. Signal recognition particle
4. Peptidyl transferase

Correct answer: 3. Signal recognition particle

Explanation: Signal recognition particles (SRPs) recognize the signal sequence on the N-terminal end of proteins destined for the lumen of the endoplasmic reticulum (ER). SRP binding arrests translation and an SRP receptor facilitates impo of the SRP, ribosome, and nascent protein into the ER lumen. A signal peptidase removes the signal sequence from the protein, which may remain in the membrane or be routed for secretion. Common to both eukaryotic and prokaryotic protein synthesis is the requirement for ATP to activate amino acids. The activated aminoacyltRNAs then interact with ribosomes carrying mRNA. Peptidyl transferase catalyzes the formation of peptide bonds between the free amino group of activated aminoacyl-tRNA on the A site of the ribosome and the esterified carboxyl group of the peptidyl-rRNA on the P site; the liberated rRNA remains on the P site.